'Bear-Claw' appearance on CECT abdomen is seen in:
1. Hepatic laceration
2. Pancreatic laceration
3. HCC
4. RCC

Correct answer: 1. Hepatic laceration

Explanation: HEPATIC INJURY MC organ injured in blunt abdominal trauma: Spleen> liver. Most liver injury bleeding is venous, and therefore low pressure, tamponade is readily performed. Diagnosis Unstable patient explored for the finding of free fluid on FAST examination. Stable patient - CECT abdomen. Bear claw laceration: Multiple Linear laceration of liver on CECT .